The antrochoanal polyp is?
1. Single and grows posteriorly
2. Multiple
3. Bleeding
4. None

Correct answer: 1. Single and grows posteriorly

Explanation: Antrochoanal polyp is usually single and unilateral. More tendency to grow posteriorly and do not bleed. Unilateral nasal obstruction is the presenting symptom. Obstruction may become bilateral when polyp grows posteriorly into the nasopharynx and starts obstructing the opposite choana. (Ref - PL DHINGRA diseases of ear nose and throat, 7th edition, page no 193)